Dental pulp is
1. Loose connective tissue
2. Connective tissue
3. Nurishing tissue
4. Hard tissue cavity

Correct answer: 1. Loose connective tissue